A patient of hypoglycemia fails to regain consciousness after blood glucose is restored to normal. The complication to be suspected is?
1. Cerebral edema
2. Lacunar infarct
3. Post ictal state
4. Cerebral hemorrhage

Correct answer: 1. Cerebral edema

Explanation: Prolonged hypoglycemia can damage the blood brain barrier and lead to cerebral edema. This also explains hemiplegia sometimes seen in hypoglycemic patients. Post ictal state is seen after hypoglycemic seizures.